Serum amylase level is raised in all except:
1. Blocked salivary duct
2. Ruptured ectopic
3. Appendicitis
4. Pancreatitis

Correct answer: 3. Appendicitis

Explanation: Answer is C (Appendicitis) Appendicitis is not associated with raised amylase levels. Pancreatitis, Ruptured ectopic and salivary gland lesions including blocked salivary duct are all associated with raised amylase levels. Pancreatic Disease Pancreatitis Pancreatic trauma Acute Pancreatic carcinoma Chronic: ductal obstruction Complications of pancreatitis (i) Pancreatic pseudocyst (ii) Pancreatogenous ascites (iii) Pancreatic abscess (iv) Pancreatic necrosis Non pancreatic Disorders 1. Renal insufficiency 4. Macroamylasemia 2. Salivary gland lesions 5. Burns A. Mumps 6. Diabetic ketoacidosis B. Calculus 7. Pregnancy C. Irradiation sialadenitis 8. Renal transplantation 3. "Tumor" hyperamylasemia 9. Cerebral trauma A. Carcinoma of the lung 10. Drugs morphine B. Carcinoma of the esophagus C. Breast carcinoma, ovarian carcinoma Other Abdominal Disorders Biliary tract disease: cholecystitis, choledocholithiasis Intraabdominal disease Perforated or penetrating peptic ulcer Intestinal obstruction or infarction Ruptured ectopic pregnancy Peritonitis Aortic aneurysm Chronic liver disease Postoperative hyperamylasemia